Smallest DNA virus is -
1. Herpes virus
2. Adenovirus
3. Parvovirus
4. Poxvirus

Correct answer: 3. Parvovirus

Explanation: Smallest virus (also smallest DNA virus) → Parvovirus.
Largest virus (also largest DNA virus) → Poxvirus.
Smallest RNA virus → Picornavirus
Largest RNA virus → Paramyxoviridae.